An extraordinary outbreak of SARS occurred in 2002-2003 and eventually resulted in 8096 recognized cases. All of the following are TRUE about SARS, EXCEPT:
1. Epidemic in India
2. Spreads by droplet
3. Diagnosed by PCR
4. Caused by SARS CoV

Correct answer: 1. Epidemic in India

Explanation: SARS is a respiratory syndrome caused by an apparently unique coronavirus, transmitted through direct or indirect contact of mucous membranes with infectious respiratory droplets. Human coronavirus infections are present throughout the world. A rapid diagnosis of SARS-CoV infection can be made by reverse-transcription PCR (-PCR) of respiratory tract samples and plasma early in illness and of urine and stool later on. Ref: Dolin R. (2012). Chapter 186. Common Viral Respiratory Infections. In D.L. Longo, A.S. Fauci, D.L. Kasper, S.L. Hauser, J.L. Jameson, J. Loscalzo (Eds),Harrison's Principles of Internal Medicine, 18e.